Which one of the following provides most conservative approach while restoring the tooth?
1. Cast gold
2. Dental amalgam
3. Glass ionomer cement
4. Composite resin

Correct answer: 4. Composite resin